Extent of etching should be:
1. 0.2 mm beyond the preparation
2. 0.5 mm beyond the preparation
3. 1.0 mm beyond the preparation
4. Any of the above

Correct answer: 2. 0.5 mm beyond the preparation